Not used for intravascular volume maintainence is -
1. Hydroxy ethyl starch
2. Dextran
3. Erythropoetin
4. Gelatin

Correct answer: 3. Erythropoetin

Explanation: Ans. is 'c' i.e., Erythropoetin o Colloids the term 'colloids' refers to aqueous solutions that contain both large organic macromolecules and electrolytes. Presumably, the large molecular size of the dissolved molecules limited their ability to cross the endothelial membrane. These molecules are retained within the intravascular space to a greater degree than pure crystalloids, owing to their higher oncotic pressure.o Crystalloids describe aqueous fluids that contain crystal-forming elements (electrolytes), which easily pass through vascular endothelial membrane barriers followed by water, leading to their equilibration between the intravascular and extracellular space. As noted above, in theory, this redistribution results in smaller retained intravascular volume of the initial infusion solutionColloidsCrvtalloidsIncrease intravascular volumeIncrease both, but mainly extravascular volumeDextranHartman's solutionGelatinRinger's lactate4% albiminNormal saline6% hydroxyethyl starchPlasma-lyteErytheropoetin Injectionso Erythropoietins available for use as therapeutic agents are produced by recombinant DNA technology in cell culture, They are used in treating anemia resulting from chronic kidney disease, chemotherapy induced anemia in patients with cancer, inflammatory bowel disease (Crohn's disease and ulcerative colitis)